With reference to RDS, all of the following statements are true EXCEPT:
1. Usually occurs in infants born before 34 weeks of gestation
2. Is more common in babies born to diabetic mothers
3. Leads to cyanosis
4. Is treated by administering 100% oxygen

Correct answer: 4. Is treated by administering 100% oxygen

Explanation: Discussing about the options, Option a. Yes, RDS is seen mainly in preterm neonates Option b. Yes, RDS is also common in babies born to diabetic mother due to delayed maturity of surfactant Option c. Yes, RDS can cause hypoxia & cyanosis Option d. CPAP +- Surfactant is the treatment of choice; Oxygen may be supplemented to treat hypoxia & titrated according to O2 saturation; 100% O2 is avoided to prevent Retinopathy of prematurity